Carry over effect is seen in
1. Case control study
2. Concurrent parallel trial
3. Cross over study
4. Cohort study

Correct answer: 3. Cross over study